Hypothyroidism can cause all except:
1. Hoarseness
2. Dryness of mouth
3. Nasal stuffiness
4. Vertigo

Correct answer: 2. Dryness of mouth

Explanation: Hoarseness is due to deposition of myxomatous tissue in the vocal cords. Nasal stuffiness is due to predominance of parasympathetic activity. Hypothyroidism also causes Meniere's like syndrome.